What is deposited in Bronze diabetes
1. Bronze
2. Copper
3. Iron
4. Carbon

Correct answer: 3. Iron

Explanation: Answer is option 3 iron overload can also damage pancreas leading to the development of diabetes as diagnosed in this case by the biochemical parameters . This type of diabetes is called "Bronze Diabetes" due to the greyish colour of skin developed from deposition of excess iron. emedicinemedscape.com